Esthesio Neuroblastoma is tumour arising from
1. Spinal cord
2. Piamater
3. Olfactory nasal mucosa
4. Arachnoid

Correct answer: 3. Olfactory nasal mucosa